Which Atypical agent has low risk of weight gain ?
1. Quetiapine
2. Clozapine
3. Aripiprazole
4. None of above

Correct answer: 3. Aripiprazole

Explanation: Clozapine and olanzapine carry high risk ziprasidone and aripiprazole carry a low risk for weight gain and diabetes.